Bull's eye lesion seen with -
1. Chloroquine
2. Dapsone
3. Rifampicin
4. Ethambutol

Correct answer: 1. Chloroquine

Explanation: Ans. is 'a' i.e. Chloroquine Salt and Pepper fundusCongenital rubella, Congenital syphilis, Congenital leber amaurosis, Mayous Batten disease, Thioridazine toxicity.Crumbled chees and ketchup appearance (sauce and cheese appearance)Pizza pie appearance Brush fire appearanceCMV retinitisSatellite lesionHead light in the fog appearanceToxoplasmosisHemorrhagic retinal necrosisHSV, toxoplasmosis, Bechet's retinitis, CRVO or branch vein occlusionMost common ocular infection in AIDS Most common cause of chorioretinitis in AIDSCMVBull's eye retinopathy (macuiopathy)Chloroquine, Phenothiazine, Bardet-Biedle syndrome, Batten disease, inverse retinitis pigmentosa, Stargardt disease, Dystrophies,Chronic macular holeRoth spotsSnowball opacities in vitreousBacterial endocarditis, Puerperal septicemia Pars planitis, Candidiasis, Sarcoidosis, Lyme disease